Which one of the following gram positive organism is most common cause of UTI among sexually active women-
1. Staphylococcus epidermidis
2. Staphylococcus aureus
3. Staphylococcus saprophyticus
4. Enterococcus

Correct answer: 3. Staphylococcus saprophyticus

Explanation: Ans. is 'c' i.e., Staphylococcus saprophyticus Staph saprophyticus . Staph saprophyticus may be present on normal human skin and the periurethral area and can cause urinary tract infection, particularly in sexually active young women. . Staph saprophyticus strains causing UTI are usually sensitive to most antibiotics, except nalidixic acid. . Staph saprophyticus is novobiocin resistant.